Sensitivity of mammography is low in young females because
1. Young breast have dense tissue
2. Young breast have more fat
3. has less fat
4. less glandular tissue

Correct answer: 1. Young breast have dense tissue

Explanation: Young females have dense brest tissue,thus sensitivity of mammo is low.